Which of the following is the least sensitive in preoperative imaging of parathyroid in Primary hyperparathyroidism?
1. Sestamibi
2. Sestamibi SPECT
3. MRI
4. USG

Correct answer: 3. MRI

Explanation: Ans. (c) MRIRef. SABISTON 20th Edition Page 930ImagingSensitivitySpecificitySafetyTc99 SestamibiModerateModerateSafeSestamibiSPECTHighHighSafeUltrasoundModerateModerateSafe4D CTHighHighRadiationMRILowModerateSafePET/CTHighHighRadiationVenous localizationHighHighNephropathy site specific injuryUSG guided biopsyHighHighSite specific injury